Commonest cause of right ventricular failure is ?
1. Corpulmonale
2. Pulmonary involvement
3. Endomyocardial fibrosis
4. Left ventricular failure

Correct answer: 4. Left ventricular failure

Explanation: Ans. is 'd' i.e., Left ventricular failureRight sided heart failureo Most common cause of right sided heart failure is left sided heart failure, i.e. right heart failure occurs as a consequence of left heart failure because left heart failure increases pressure in pulmonary circulation that produces an increased burden on the right side of the heart.o Left sided heart failure --> is pulmonary circulation pressure T burden to right atrium and ventricle -4 right sided heart failure.o Isolated right-sided heart failure most often occurs with chronic severe pulmonary hypertension and thus is called Cor-pulmonale.o Dilatation and hyperopy are confined to right atrium and ventricle.o The major morphological and clinical effects of pure right sided heart failure differ from those of left-sided heart failure because pulmonary congestion is minimal, while there is increased pressure and congestion in systemic veins and portal venous system. That results in ?l. Peripheral edema of dependent portion, especially ankle (pedal) and pretibial edema is a hallmark of right sided heart failure. Generalized massive edema may occur --> An asarca.Hepatic enlargement with centrilobular necrosis that may progress to cirrhosis --> Cardiac cirrhosis.Congestive splenomegaly.Pleural effusion (in contrast to left sided heart failure where pulmonary edema occurs).Pericardial effusion.Ascitieso Pulmonary edema is associated with LVF whereas pleural effusion is associated with RVF.